Kiesselbach's plexus is situated on the:
1. Medial wall of the middle ear
2. Lateral wall of the naso-pharynx
3. Anterior inferior region of the nasal septum
4. Laryngeal aspect of epiglottis

Correct answer: 3. Anterior inferior region of the nasal septum

Explanation: Kiesselbach's area (plexus) is a region in the anterior inferior region of the nasal septum where branches of the sphenopalatine, anterior ethmoidal, greater palatine, and facial arteries anastomose. Most nosebleeds (epistaxis) usually occur in this area.